Features of Ankylosing spondylitis (AS) include all of the following EXCEPT:
1. Fibrous ankylosis is part of pathogenesis of AS
2. Bony ankylosis is part of pathogenesis of AS
3. Roos test is used to test for Sacroilitis
4. Marginal syndesmophytes are seen on X-ray

Correct answer: 3. Roos test is used to test for Sacroilitis

Explanation: FEATURES of ankylosing spondilitis- enthesitis and this ultimately leads to joint ankylosis Both bony as well as fibrous ankylosis occurs in AS Marginal syndesmophytes are seen on X-ray Roos test is used for thoracic outlet syndrome.